Nerve supply of the skeletal muscles element of diaphragm is
1. Thoracodorsal nerve
2. Intercostal nerves
3. Phrenic nerve
4. Long thoracic nerve

Correct answer: 3. Phrenic nerve

Explanation: Phrenic nerve Phrenic nerve is the sole motor nerve supply to diaphragm. Under the influence of phrenic nerve input, the diaphragm contributes more than any other muscle to inspiration. With deeper respiration, there is more extensive descent of the domes which brings them inferior to the central tendon.